Following are the adverse effects of estrogens except:
1. Supression of libido
2. Fusion of epiphyses
3. Hot flushes
4. Gynaecomastia in males

Correct answer: 3. Hot flushes